NiTi alloys have:
1. Shape memory
2. Hyper rigidity
3. Corrosion resistance
4. Weldable properties

Correct answer: 1. Shape memory